Self breast examination by females is advisable to be done at which of the following time?
1. Premenstrual period
2. During menses
3. 7-10 days after menses
4. Ovulatory period

Correct answer: 3. 7-10 days after menses

Explanation: Ans. C. 7-10 days after menses. (Ref Textbook of Gynaecology by D C Dutta 5th/pg. 538).Textbook of Gynaecology by D C Dutta 5th/pg. 53S....under the heading "Breast self examination":"Breast self examination should be made into a habit, certainly by the age of 20. The examination should be made on a monthly basis following the menses as the breasts become less tender and less engorged/'Breast self examination# Inpsection should be done standing in front of a mirror in a well lit-room. The patient should palpate her breasts with the opposite hand both in sitting and lying supine with a pillow beneath her back.# Axillary and supraclavicular areas to be palpated.# The nipples should be compressed for any discharge.# She is instructed to contact physician whenever there is any abnormal finding.